Mini esthetics in orthodontics means examination of
1. Teeth in relation to each other
2. Facial proportions in all three planes
3. Facial to body proportions
4. The dentition in relation to the face

Correct answer: 4. The dentition in relation to the face

Explanation: The smile framework (mini-esthetics). The smile framework is bordered by the upper and lower lips on smile animation and includes such assessments as excessive gingival display on smile, inadequate anterior tooth display, inappropriate gingival heights, and excessive buccal corridors.
contemporary orthodontics – proffit 4th edition page 176